Pyometra is a complication associated with all of the following conditions, EXCEPT:
1. Pelvic radiotherapy
2. Carcinoma of the vulva
3. Carcinoma of the cervix
4. Carcinoma of endometrium

Correct answer: 2. Carcinoma of the vulva

Explanation: Pyometra refers to the collection of pus in the uterine cavity. For pyometra to occur there should be occlusion of the cervical canal, enough source of pus formation inside the uterine cavity and presence of low grade infection. Since none of these are present in a case of carcinoma of vulva, it is not associated with pyometra. Ref: Shaw's Textbook of Gynaecology, 13th Edition, Page 313 ; Textbook of Gynecology By D.C.Dutta, 4th Edition, Page159